Which one is not a two way communication?
1. Group discussion
2. Workshop
3. Lecture
4. Panel discussion

Correct answer: 3. Lecture